Which of the following is approved oral therapy for Leishmaniasis?
1. Sodium Stibogluconate
2. Miltefosine
3. Pentomedine
4. Amphoterium B

Correct answer: 2. Miltefosine

Explanation: Ans. B. MiltefosineTreatment of visceral leishmaniasisPentavalent antimonyAmphotericin BLiposomal amphotericin BMiltefosinePentamidineParomomycin